A HIV patient complains of visual disturbances. Fundal examination shows bilateral retinal exudates and perivascular haemorrhages. Which of the following viruses are most likely to be responsible for this retinitis -
1. Herpes simplex virus
2. Human herpes virus 8
3. Cytomegalovirus
4. Epstein-Barr (EB) virus

Correct answer: 3. Cytomegalovirus

Explanation: CMV retinitis is the most common ocular infection in AIDS patient.

CMV retinitis
Presentation :

Presents as a painless progressive loss of vision.
Patients may also complain of 'blurred vision', Floaters and scintillations.

Opthalmoscopic findings : (Bilateral)

Characteristic retinal appearance ofperivascular haemorrhages and retinal exudates - Harrison
Cotton wool spots appearing as a result of focal ischaemia of nerve fibre layer are characteristic

Risk factors :

The majority of cases of CMV retinitis occur in patients with CD4+ count < 50/ 1.
Patients with CD4+ count < 100 / 1 should undergo an ophthalmic examination every 3-6 months.

Treatment:


Therapy for CMV retinitis consists of intravenous ganciclovir
Forscarnet (cidofovir is an alternative).